In falciparum malaria, causes of anemia are due to all except
1. Hemolysis
2. Malabsorption
3. Spleen sequestration
4. Bone marrow depression

Correct answer: 2. Malabsorption